Which of the following is not true regarding super-antigens-
1. Bind T cells irrespective of antigen specificity of TCR
2. Bind directly to both MHC II and T cell receptor causing T cell activation
3. Bind to cleft (or antigen binding groove) in the MHC H molecule
4. Binds directly to lateral aspect of T cell receptor

Correct answer: 3. Bind to cleft (or antigen binding groove) in the MHC H molecule

Explanation: Reference :Robbins basic pathology 9th edition pg 110:An additional group of secreted bacterial proteins called superantigens also cause a syndrome similar to septic shock (e.g., toxic shock syndrome). Superantigens are polyclonal T-lymphocyte activators that induce T cells to release high levels of cytokines, which in turn results in a variety of clinical manifestations, ranging from a diffuse rash to vaso- dilation, hypotension, and death.